Most common location of solitary rectal ulcer is:
1. Anterior wall
2. Right lateral wall
3. Posterior wall
4. Left lateral wall

Correct answer: 1. Anterior wall

Explanation: Most common location of solitary rectal ulcer is: Anterior wall Solitary rectal ulcer syndrome (SRUS)- benign disease C/F- Rectal bleeding Copious mucus discharge Prolonged excessive straining, feeling of incomplete defecation, constipation Perineal and abdominal pain Histopathological features- obliteration of the lamina propria by fibrosis and smooth muscle fibers extending from a thickened muscularis mucosa to the lumen. COLONOSCOPY WITH BIOPSY is the investigation of choice